Which of the following antihypertensive is used in premenopausal syndrome
1. Clonidine
2. Hydralazine
3. Losartan
4. Amlodipine

Correct answer: 1. Clonidine

Explanation: Clonidine is a centrally acting antihypertensive drug Other uses: Treating cancer(severe) pain, menopausal syndrome, migraine, alcohol, opioid de-addiction REF.Essentials of Medical Pharmacology KD Tripathi 8th ed.